Live Vaccines are contraindicated in all EXCEP F
1. Breast feeding
2. Pregnancy
3. HIV
4. Steroid dependant

Correct answer: 1. Breast feeding

Explanation: (A) Breast feeding